Cholecystocaval line separates:
1. Right & Left liver lobe
2. Liver with Gall Bladder
3. Right Lobe of Liver with Gall Bladder
4. Left Lobe of Liver with Gall Bladder

Correct answer: 1. Right & Left liver lobe

Explanation: Functional lobes and segments of the liver The functional right and left lobes of the liver are separated by an imaginary plane passing along the floor of fossa for gall bladder and the groove for inferior vena cava (cholecysto-caval line). On the anterosuperior surface of the liver the plane passes little right to the attachment of falciform ligament. The functional right and left lobes of the liver are of more or less equal in size.